Which of the following medications should not be given to a diabetic patient?
1. Propranolol
2. Theophylline
3. Digoxin
4. Glyburide

Correct answer: 1. Propranolol

Explanation: Beta-blockers, such as propranolol, are contraindicated in diabetics because they are prone to hypoglycemic reactions. Blood sugar control is modulated by sympathetic-adrenergic control of the pancreatic islet cells. Glyburide, Heparin, and Digoxin and Theophylline are safe to use in diabetics. Ref: Westfall T.C., Westfall D.P. (2011). Chapter 12. Adrenergic Agonists and Antagonists. In L.L. Brunton, B.A. Chabner, B.C. Knollmann (Eds), Goodman & Gilman's The Pharmacological Basis of Therapeutics, 12e.